Prophylactic cranial irradiation is indicated in the treatment of all of the following, except:
1. Small cell Ca of lung
2. ALL
3. Hodgkin's lymphoma
4. NHL

Correct answer: 3. Hodgkin's lymphoma

Explanation: All malignancies except hodgkin's lymphoma given in the question show discrimination CSF pathway and therefore require prophylactic Craniospinal irradiation. Ref: Harrison's Principles of Internal Medicine, 15th Edition, Page 2449